Regarding Xenon anesthesia all are true accept
1. Slow induction and recovery
2. Non explosive
3. Minimal cardiovascular side-effects
4. Low blood solubility

Correct answer: 1. Slow induction and recovery

Explanation: Xenon Advantages of Xenon Anesthesia 1. Inert (probably nontoxic to liver and kidney with no metabolism) 2. Minimal effect on CVS function 3. Lowest blood solubility (Lowest blood gas partition coefficient) therefore rapid induction and recovery. 4. Does not trigger malignant hyperthermia 5. Environmental friendly 6. Non-explosive Disadvantages of Xenon Anesthesia 1. High cost 2. Low potency (MAC = 70%) 3. No commercially available anaesthesia equipment.